Water hammer pulse is seen in
1. Mitral stenosis
2. Aortic stenosis
3. Aortic incompetence
4. Myocardial infarction

Correct answer: 3. Aortic incompetence

Explanation: (C) Aortic incompetence # Water Hammer Pulse or Corrigan Pulse is seen in : Physiological - Exercise, Emotion, Pregnancy, Alcohol Hyperkinetic circulatory states: Anaemia, Thyrotoxicosis, Paget's disease of bone, Beriberi anoxic Corpulmonale. Leak in Atrial side of Circulation: AR, PDA, AV fistula, Large VSD Complete Heart Block